Sugar Coating/Zuckerguss is seen in?
1. Meningioma
2. Ependymoma
3. Medulloblastoma
4. Oligodendroglioma

Correct answer: 3. Medulloblastoma

Explanation: Sugar coating / Sugar icing / Zuckerguss is seen in Medulloblastoma due to CSF spread of the tumor and lining of the brain stem and spinal cord with the micro metastasis from the tumor.(Drop metastasis) Sagittal T1-weighted gadolinium-enhanced MR image of the spinal cord showing a classic "sugar coating" pattern of laminar metastases (white and red arrow) covering the spinal leptomeninges in case of medulloblastoma. Chicken wire calcifications are seen in oligodendroglioma.